If urine dipstick shows +3, what is the protein level in mg/dl in urine
1. 30 mg/dl
2. 50 mg/dl
3. 100 mg/dl
4. 300 mg/dl

Correct answer: 4. 300 mg/dl

Explanation: Answer-D. 300 mg/dl1+ = 30mg/dl2+ = 100mg/dl3+ = 300mg/dl4+ = 1000mg/dl